Which of the following tumours have an increased elevation of placental alkaline phosphatase in the serum as well as a positive immunohistochemical staining for placental alkaline phosphatase -
1. Seminoma
2. Hepatoblastoma
3. Hepatocellular carcinoma
4. Peripheral neuroectodermal tumour

Correct answer: 1. Seminoma

Explanation: Alkaline phosphatase - There are four major sources of Alkaline phosphatase in the body. These are:-

Liver       
Bone    
Intestine
Placenta

So the normal serum alkaline phosphatase consists of 4 isoenzymes secreted from the above-mentioned sites.
Placental alkaline phosphatase is elevated in the following conditions -
(a) Seminoma  
(b) Choriocarcinoma
(c) Third trimester of pregnancy
About other options -
In liver diseases and hepatocellular carcinoma the alkaline phosphatase elevated is of liver origin. Similarly the alkaline phosphatase elevated in bony diseases is due to some pathology in bone.